Light criteria for pleural effusion are all except -
1. Effusion protein/serum protein ratio greater than 0.5
2. Effusion lactage dehydrogenase (LDH)/serum LDH ratio greater than 0.6
3. Effusion LDH level greater than two-thirds the upper limit of the laboratory's reference range of serum LDH
4. Effusion sugar is less than 2/3rd of blood sugar

Correct answer: 4. Effusion sugar is less than 2/3rd of blood sugar

Explanation: Ans. is 'd' i.e., Effusion sugar is less than 2/3rd of blood sugar Lights Criteria of Pleural effusionso Transudative and exudative pleural effusions are distinguished by measuring the lactate dehydrogenase (LDH) and protein levels in the pleural fluid. Exudative pleural effusions meet at least one of the following criteria, whereas transudative pleural effusions meet none :# Pleural fluid protein/Serum protein >0[?]5# Pleural fluid LDH/Serum LDH >0[?]5# Pleural fluid LDH more than two-thirds normal upper limit for serum.